A 17-year-old boy presented with TLC of 138 x 109/ L with 80% blasts on the peripheral smear. Chest X-ray demonstrated a large mediastinal mass. Immunophenotyping of this patient's blasts would most likely demonstrate -
1. No surface antigens (null phenotype)
2. An immature T cell phenotype (Tdt/D34/CD7 positive)
3. Myeloid markers, such as CD13, CD33 and CD15
4. B cell markers, such as CD19, CD20 and CD22

Correct answer: 2. An immature T cell phenotype (Tdt/D34/CD7 positive)